In an Amenorrheic patient who has had pituitary ablation for a craniopharyngioma, which of the following regimens is most likely to result in an ovulatory cycle?
1. Clomiphene citrate
2. Letrozole
3. Continuous infusion of GnRH
4. Human menopausal or recombinant gonadotropin, followed by hCG

Correct answer: 4. Human menopausal or recombinant gonadotropin, followed by hCG

Explanation: This Patient will not be able to produce endogenous gonadotropin, since her pituitary has been ablated. Patient need to be given exogenous gonadotropin in the form of human menopausal gonadotropin (hMG), which contains FSH and LH in various ratio for follicular growth. Timed administration of hCG, which takes the place of an endogenous LH surge, will be needed to complete oocyte maturation and induce ovulation.